Macro-vesicular fatty liver is seen in -
1. Protein-Energy malnutrition
2. Viral hepatitis
3. Acute fatty liver of Pregnancy
4. Reye's syndrome

Correct answer: 1. Protein-Energy malnutrition

Explanation: Ans. is 'a' i.e., Protein-Energy malnutrition